The most important function of Major Intrinsic Protein 26 (MIP-26) is:
1. Diffusion barrier
2. Capsule of lens
3. Glucose transport in lens
4. Transport of water in lens

Correct answer: 4. Transport of water in lens

Explanation: Major Intrinsic Protein 26 (MIP-26), now known as Aquaporin 0 is found only in the plasma membrane of eye lens fibre cells. Its main function is to maintain transparency of the lens by maintaining a tight cellular junction and/or by water cirulation. Ref: Encyclopedia of Molecular Pharmacology, Volume 1, Springer, 2008, Page 215; Current Medicinal Chemistry Jun 1999, Page 465